A 10 year old female patient complains of tiredness and shortness of breath. Patient is a known case of beta-thalassemia. This disease is caused by faulty splicing of:
1. hnRNA
2. snRNA
3. scRNA
4. snoRNA

Correct answer: 1. hnRNA

Explanation: Faulty splicing can cause diseases: Splicing of hnRNA has to be performed with precision to produce functional mRNA. Faulty splicing may result in diseases. A good example is one type of beta-thalassemia in  humans. This is due to a mutation that results in a nucleotide change at an exon-intron junction. The result is a diminished or lack of synthesis of p-chain of hemoglobin, and consequently the disease p-thalassemia.
Note: 
scRNA - Small cytoplasmic RNA
snoRNA - Small nucleolar RNA
snRNA - Small nuclear RNA
hnRNA - Heterogenous nuclear RNA
Satyanarayana- Biochemistry, 3rd edition, pg-549